Mapping of human genome was completed in:
1. 2000
2. 2001
3. 2002
4. 2003

Correct answer: 4. 2003

Explanation: The Human Genome Project (HGPRT) is an international scientific research project with a primary goal of determining the sequence of chemical base pairs which make up DNA, and of identifying and mapping the approximately 20,000-25,000 genes of the human genome. Preliminary mapping of Human Genome Project was completed in 2003. Ref: Park 21st edition page: 766.